Seat belt injury affects which bone of body -
1. Vertebrae
2. Pelvis
3. Fracture neck femur
4. Clavicle

Correct answer: 1. Vertebrae

Explanation: Ans. is 'a' i.e., Vertebrae EponymInjury of spineBurst fractureComminuted fracture of the vertebral bodyChance fracture (Car seat belt injury)A horizontal fracture of the vertebra extending from body to the posterior element, caused by a strong distraction forceClay-Shoveller fractureAn avulsion fracture of spinous process of the lower cervical or upper thoracic vertebrae.Hangmans fractureA fracture through the pedicle and lamina of C, vertebra, with subluxation of C2 over C3-caused by hanging.Jafferson fractureBurst fracture of atlas vertebra.